Microvesicular fatty liver is caused by ?
1. DM
2. Valproate
3. Starvation
4. IBD

Correct answer: 2. Valproate

Explanation: Ans. is 'b' i.e., Valproate Steatosis Accumulation of triglyceride fat droplets within the heaptocytes is known as steatosis or fatty liver. It may be of two types ? Microvesicular steatosis - Multiple tiny droplets accumulate that do not displace the nucleus. Macrovasicular steatosis -A single large droplet accumulates that displaces the nucleus. Causes of steatosis Microvesicular Reye's syndrome Acute fatty liver of pregnancy Jamaican vomiting sickness Drugs - valproic acid, tetracycline, nucleoside analogue lman's disease Lysosomal acid lipase deficiency Congenital defects of urea cycle enzymes Early stage of alcoholic cirrhosis Chronic viral hepatitis Macrovesicular Alcoholic liver disease DM --> insulin resistance Lipodystrophy PEM, starvation Dysbetalipoproteinemia TPN, Jejunoileal bypass Inflammatory bowel disease Syndrome x (obesity, DM, hypertriglyceridemia Drugs --> CCBs, synthetic estrogens,nucleoside analogues